Which among the following is true about Caplan's syndrome?
1. Pneumoconiosis with lymphadenopathy
2. Pneumoconiosis with CCF
3. Pneumoconiosis with HIV
4. Pneumoconiosis with rheumatoid arthritis

Correct answer: 4. Pneumoconiosis with rheumatoid arthritis

Explanation: Caplan's syndrome also known as rheumatoid pneumoconiosis or rheumatoid lung. It occurs in patients with both rheumatoid arthritis (usually seropositive patients) and pneumoconiosis related to mining dust (coal, asbestos, and silica) exposure and consists of multiple rounded nodules in the lung. Ref: Harrison's 17th ed chapter 314 ; Rheumatology and Immunology Therapy: A to Z Essentials edited by Larry W. Moreland, 2004, Page 186.